Most sensitive test for HIV infection
1. Western blot
2. ELISA
3. Agglutination test
4. CFT

Correct answer: 2. ELISA

Explanation: Ans. is `b' i.e., ELISA